Commonest fungal infection of female genitalia in diabetes?
1. Cryptococcal
2. Madurmycosis
3. Candida
4. Aspergillosis

Correct answer: 3. Candida

Explanation: Candida is the commonest infection of female genital tract in diabetes. Candida species are normal commensals of the mouth, GI tract, vaginal mucosa and in the patients with an indwelling catheter. Diabetes is particularly associated with increased susceptibility to vaginal infections.